5 year old Boy with something coming out of the anus with pedicle attached to rectal/ anal wall and bright red bleeding- most common diagnosis -
1. Juvenile rectal Polyp
2. Pedicle pile
3. Fissure
4. CA Colon

Correct answer: 1. Juvenile rectal Polyp

Explanation: Ans. is 'a' i.e., Juvenile rectal Polyp * Juvenile polyps are the most common type of childhood polyp, occurring in up to 1% of preschool children. They are usually solitary polyps found in the rectum which most commonly present with rectal bleeding.* These are hamartomatous polyps, which are usually pedunculated but can be sessile.* "The typical child with a juvenile polyp is 4 to 6 years of age, presents with intermittent painless rectal bleeding with bowel movements."- Rudolph's Pediatrics* Juvenile polyps are usually are not premalignant.* Because the gross appearance of these polyps is identical to adenomatous polyps, these lesions should also be treated by polypectomy.